Which of the following statement is false in cytochemistry of AML
1. Myeloperoxidase and sudan Black are positive
2. Periodic Acid-Sctiff is negative in erythroleukemia
3. Non specific Esterase is positive in M4 and M5
4. All the above

Correct answer: 2. Periodic Acid-Sctiff is negative in erythroleukemia

Explanation: Enythroid type of acute mycloid leukemia show PAS positive crythroblast.